Socrates was killed by which poisoning ?
1. Cyanide
2. Conium
3. Strychnine
4. Dhatura

Correct answer: 2. Conium

Explanation: Ans. is 'b' i.e., Conium onium (Hemlock) was used to kill socrates. Important facts about poisoning Poison retarding putrefaction : Strychnine (fox vomica), carbolic acid, heavy metals (like arsenic), and zinc chloride. Poison causing proximal tubular necrosis : Lead, mercury, arsenic. cadmium, bismuth, phenol (carbolic acid), oxalic acid (oxalate), and ethylene glycol. Angel dust refers to common name for drug phencyclidine. Conium (Hemlock) was used to kill socrates. Oleander (kaner) has two varities :- White (Nerium odorum) : Active principle is nerin consisting of three glycosides : neriodorin, neriodorein, and kerabin. Yellow (cerbera thevetia) : Active principles are three glycosides : Thevetin, thevotoxin and cerberin. Conjunctivae are yellow in picric acid poisoning Corneal ulceration and conjunctival inflammation occurs in copper duct exposure. Conjunctiva and cornea are grey-blue or blue black in chronic silver poisoning. Marqui's test is used in morphine poisoning. A normal GIT rules out poisoning by corrosives (acids and alkalies). Liver necrosis occurs in phosphorus, CC14, chloroform and trinitrotoluene poisonings. Poisons produced due to putrefaction ethyl alcohol and cyanide. Hot-shot : A dose of narcotic with a poison (like strychnine) used to kill a fellow narcotic addict. Neurotic poisons can be subdivided into following categories :? Somniferous poisons : Produce narcotic analgesia by acting on brain, e.g. opium and its deriivatives. Inebriant poisons : Produce generalized CNS depression, e.g. ethyl alcohol, methyl alcohol, barbiturates, chloral hydrate. Deliriant poisons : Produce delirium as their major symptom e.g. dhatura, balladonna, hyoscyamus, and cannabis indica.